All are complications of tubercular meningitis except-
1. Hydrocephalus
2. Infarction
3. Obliterative endarteritis
4. Sinovenous thrombosis

Correct answer: 4. Sinovenous thrombosis